The intercanthal distance suggestive of telecanthus is:
1. 30 mm
2. 36 mm
3. 28 mm
4. 32 mm

Correct answer: 2. 36 mm

Explanation: Normal intercanthal distance is 25 mm. In traumatic telecanthus the intercanthal distance is increased to 35-40 mm.